Coprolalia is seen in
1. Delirium
2. Alcoholic intoxication
3. Mania
4. Tourette syndrome

Correct answer: 4. Tourette syndrome

Explanation: coprolalia-involuntary use of vulgar or obscene language. Observed in some cases of schizophrenia and in Tourette's syndrome. coprophagia- Eating of filth or feces. The echolalia-psychopathological repeating of words or phrases of one person by another; tends to be repetitive and persistent. Seen in catatonic schizophrenia. Reference: Page No 922 signs and symptoms in psychiatry(Kaplan & Sadock's Comprehensive Textbook of Psychiatry, 9th Edition)